Bartholins duct open into :
1. Labia majora
2. Labia minora
3. Lower vagina
4. Groove between labia minora and hymen

Correct answer: 4. Groove between labia minora and hymen

Explanation: Groove between labia minora and hymen